Ectopic sebaceous glands in the mouth are called:
1. Linea alba buccalis
2. Heck's disease
3. Lingual varices
4. Fordyce spots.

Correct answer: 4. Fordyce spots.